Which is more common in primigravida than multigravida :
1. PPH
2. Placenta previa
3. Malpresentation
4. Hyperemesis

Correct answer: 4. Hyperemesis

Explanation: Hyperemesis